The gene for Wilson\'s disease is on –
1. Long arm of Chromosome 13
2. Long arm of Chromosome 6
3. Short arm of Chromosome 13
4. Short arm of Chromosome 6

Correct answer: 1. Long arm of Chromosome 13